INH should be discontinued in an asymptomatic patient with which of the following profile?
1. ALT levels > 5 times the upper limit of normal
2. ALT level > 3 times the upper limit of normal
3. ALT levels > 2 times the upper limit of normal
4. ALT levels > 10 times the upper limit of normal

Correct answer: 1. ALT levels > 5 times the upper limit of normal

Explanation: Guidelines recommend that isoniazid be stopped in the presence of hepatitis symptoms or jaundice and an ALT level three times the upper limit of normal or in the absence of symptoms with an ALT level five times the upper limit of normal.